Liquefactive necrosis is seen in?
1. Heart
2. Spleen
3. Brain
4. Kidney

Correct answer: 3. Brain

Explanation: Brain tissue is rich in liquefactive enzymes and it lacks stromal support, hence liquefactive necrosis is the type of necrosis that occurs in brain.